A my I nitrite is u sed as antidote in which poisoning-
1. Cyanide
2. Cholinesterase
3. Benzodiazepine
4. Barbiturate

Correct answer: 1. Cyanide

Explanation: Ans. is 'a' i.e., Cyanide PoisonAntidotesAcetominaphen (paracetamol)N-Acetyl cysteineNitrites, cyanidesAmyl nitrite + sodium nitrite + sodium thiosulphateOrganophosphates (antichol inesterase)Atropine and oximesDigoxinDizibind or digoxin immune FabEthylene glycol, methanol, ethanolFomipizoleHeroin (opioids)Naloxone or nalmefene or naltrexoneBenzodiazepineFlumazenilDhatura / atropine i antihistaminicsPhysostigmineActue iron poisoningDeferoxamineAcute arsenic poisoningDimercaprol / B ALOxalic acidCalcium gluconateStrychinineShort acting barbituratesNote: Cooper sulphate is a poison itself, but it is used as an antidote in phosphorus poisoning.